A 20yr old patient with a recent history of swimming in fresh water developed headache, fever, vomiting, seizures.CSF examination revealed motile amoeba which is the probable causative agent?
1. Naegleria
2. Acanthamoeba
3. Balamuthia
4. Entamoeba histolytica

Correct answer: 1. Naegleria

Explanation: Naegleria fowleri produces primary amoebic meningoencephalitis which typically has headache with history of swimming. The ameba is commonly found in warm freshwater (e.g. lakes, rivers, and hot springs) and soil. Naegleria fowleri usually infects people when contaminated water enters the body through the nose Ref: D.R. Arora.Medical parasitology 4th ed pg. 35